All are not true for cultivation of anaerobic organisms except
1. Incubator
2. anaerobic jar
3. Refrigerator
4. centrifuge

Correct answer: 2. anaerobic jar